The period of training for a village health guide is ?
1. 1 month
2. 3 months
3. 6 months
4. 12 months

Correct answer: 2. 3 months

Explanation: Ans. is 'b' i.e., 3 months Training o After selection, the health guides undergo a short training in Primary health care at nearest PHC or subcentre. Training is for the duration of 200 hours, spread over a period of three months. o During the training period they receive a stipend of Rs. 200 per months. Work o The arc expected to do community health work in their spare time of about 2 to 3 hours daily. o For this they are paid on honorarium of Rs. 50 per month and drugs worth Rs. 600 per annum. o The Government will not train another health guide from the same village before three years. o The national target is to achieve one health guide for each village or 1000 rural population.